True about transfusion malaria by Plasmodium vivax is the following EXCEPT:
1. Incubation period is short
2. Stage of pre-erythrocytic development is absent
3. Clinical features and complications are different than in naturally acquired infection
4. Radical treatment with primaquine is unnecessary

Correct answer: 3. Clinical features and complications are different than in naturally acquired infection

Explanation: Ans. c (Clinical features and complications are different than in naturally acquired infection) (Ref: Harrison's 17th/p. 1285; Park 22nd/250)TRANSFUSION MALARIA# Most common organism P.vivax and malariae.# Incubation period short (as no pre-erythrocytic stage of development).# Clinical features and management is same as that of naturally acquired infection.# No need of radical treatment for P.vivax and ovale infection.# Parasite remains for at least 14 days in stored blood.# Person who had malaria should not transfuse blood for at least 3 years.Also know:MASSIVE BLOOD TRANSFUSION defined as1) adults: a) replacement of >1 blood volume in 24 hours ,or b) >50% of blood volume in 4 hours (adult blood volume is approximately 70 mL/kg).2) children * transfusion of >40 mL/kg (blood volume in children over 1 month old is approximately 80 mL/kg).Initially TRANSIENT HYPERGLYCEMIA due to glucose in preservatives; Overall most commonly-- HYPOGLYCEMIA > HYPERGLYCEMIA# Most Common cause of death after massive blood transfusion is-- DIC# TRALI (Transfusion-Related Acute Lung Injury) is the most common cause of major morbidity and death after transfusion. It presents as an acute respiratory distress syndrome (ARDS) either during or within 6 h of transfusion.